All of the following conditions are premalignant except -
1. Ulcerative colitis
2. Crohn's disease
3. Bronchiectasis
4. Paget disease of bone

Correct answer: 3. Bronchiectasis